The most common malignant tumor of the gingiva is:
1. Malignant melanoma
2. Sarcoma
3. Fibro-sarcoma
4. Squamous cell carcinoma

Correct answer: 4. Squamous cell carcinoma